The teeth that erupt within the first month of the birth are called as
1. Natal teeth
2. Neonatal teeth
3. Both
4. None

Correct answer: 2. Neonatal teeth